The node of Ranvier is seen in
1. Cell body
2. Axons
3. Dendrites
4. Terminalbutons

Correct answer: 2. Axons

Explanation: Nodes of Ranvier are periodic gaps in the myelin sheath on the axon.
A neuron is a functional unit (the basic unit of nervous tissue).
It is specialized for the function of reception, integration and transmission of information in the body,
The basic structure of the neuron is best studied in a spinal motor neuron,
This cell has a ‘cell body (soma)' with 5-7 small processes called ‘dendrites'.
There is a long process called ‘axon’ that originate from “axon hillock (A thickened area of cell body from which axon originates)”.
The first portion of the axon is called “initial segment”.
In a motor neuron, the axon hillock and the initial segment of axon have the lowest threshold for excitation